Most commonly used for protein utilization ?
1. NPU
2. Amino acid score
3. Biological value
4. Protein efficiency ratio

Correct answer: 1. NPU

Explanation: Ans. is `a' i.e., NPU